DMF index was given by:
1. Mien, Palmar, Knutson and Henry in 1938
2. Moller in 1966
3. Gruebbel in 1994
4. Katz in 1980

Correct answer: 1. Mien, Palmar, Knutson and Henry in 1938